The tumour marker for Granulosa cell tumour is:
1. Inhibin
2. CA 19-9
3. CA 15-3
4. CA 125

Correct answer: 1. Inhibin

Explanation: . Inhibin